Broca's index is
1. Weight minus 100
2. Height minus 100
3. height /weight
4. Weight /height

Correct answer: 2. Height minus 100

Explanation: The Broca Index, also known as the Broca formula was devised back in 1871 by the French physician, surgeon and anthropologist Paul Broca, as a measure of the normal weight of a person. Broca Index Normal Weight = Body Height - 100. Ref: Park 25th edition Pgno : 418